Wavelength of x- rays?
1. 1 to 10 nm
2. 0.1 to 10 nm
3. 0.01 to 10 nm
4. 0.001 to 10 nm

Correct answer: 3. 0.01 to 10 nm

Explanation: Wavelength of X-rays is 0.1 - 100Ao or 0.01nm - 10 nm (in electromagnetic spectrum) Velocity of X-rays is equal to the Speed of Light. They are found to reside between ultraviolet radiation and gamma rays on the electromagnetic spectrum.